Most vascular zone of the bone is -
1. Metaphysis
2. Diaphysis
3. Epiphysis
4. Medullary Cavity

Correct answer: 1. Metaphysis

Explanation: Ans. is 'a' i.e., Metaphysis o Metaphysis is the most vascular zone of the bone especially in children as it has long hairpin loop arranged arterioles and venules running through it.